4 years old child having palpable abdominal mass & hypertension with sweating & diarrhea is due to ?
1. Neuroblastoma
2. Nephroblastoma
3. PCKD (Polycystic kidney disease)
4. All

Correct answer: 1. Neuroblastoma

Explanation: Ans. is 'a' i.e., Neuroblastoma Abdominal mass and hypertension can occur both in neuroblastoma and wilm's tumor. o But, sweating and diarrhea favour diagnosis of neuroblastoma.